Short head of Biceps is attached to
1. Coracoid process
2. Acromion process
3. Supraglenoid tubercle
4. Bicipital groove

Correct answer: 1. Coracoid process

Explanation: The short head of biceps brachii arises from the tip of the coracoid process and gets attached to the posterior rough part of the radial tuberosity. The tendon is twisted; the anterior fibres become lateral and posterior fibres become media. The tendon is separated from the anterior part of tuberosity by a bursa. Mnemonic Biceps brachii muscle origins: You walk shorter to a street corner .you ride longer on a superhighway. The short head originates from the coracoid process. The long head originates from the supraglenoid tubercle. Ref- BD Chaurasia 7th edition Page no: 91 Figure:8.3 page no 89,BD chaurasia, 6th edition